All are true about brown sequard syndrome
1. Ipsilateral loss of joint sensation
2. Contralateral loss of joint sensation
3. Segmental sign are bilateral
4. Contralateral loss of vibration

Correct answer: 1. Ipsilateral loss of joint sensation

Explanation: A i.e. Ipsilateral loss of joint sensation